Cervical cone biopsy in a case of carcinoma cervix causes all, except :
1. Bleeding
2. Cervical stenosis
3. Infection
4. Spread of malignancy

Correct answer: 4. Spread of malignancy

Explanation: Ans. is d i.e. Spread of malignancy Complications of Cone biopsy are : Hemorrhagedeg Sepsis (infection)deg Cervical stenosisdeg Pregnancy complications which include : Mid trimester aboionsdeg Preterm labourdeg -- Cervical dystociadeg Also Know : Cone biopsy should be done under general anaesthesia. The cone should include the entire outer margin and the endocervical lining but internal OS is spared. 1 A small cone is preferred in younger women to avoid pregnancy complications.